Which of the following is a calcineurin inhibitor?
1. Cyclosporine
2. Methotrexate
3. Azathioprine
4. Mycophenolate mofetil

Correct answer: 1. Cyclosporine

Explanation: Ans. (A) Cyclosporine(Ref: Goodman Gilman 12th/e p1008; Katzung 12th/e p986; KDT 8/e p937)Cyclosporine and tacrolimus act as immunosuppresants by their inhibitory action on calcineurin.